Intrinsic laryngeal muscles are supplied by?
1. Internal laryngeal nerve
2. External laryngeal nerve
3. Recurrent laryngeal nerve
4. Inferior laryngeal nerve

Correct answer: 3. Recurrent laryngeal nerve

Explanation: ANSWER: (C) Recurrent laryngeal nerveREF: Gray's anatomy 39th edition p. 642, 643All intrinsic muscles are supplied by recurrent laryngeal nerves except cricothyroid which is supplied by external branch of superior laryngeal nerve